In ankle sprain, the commonest ligament torn is?
1. Tibio-talar ligament
2. Deltoid ligament
3. Posterior talo-fibular ligament
4. Anterior talo-fibular ligament

Correct answer: 4. Anterior talo-fibular ligament

Explanation: Ankle sprain is an inversion injury and anterior talo-fibular ligament is first to be damaged. More severe injury can also damage origin of extensor digitorum brevis and calcaneo-fibular ligament.